Femoral nerve supplies all except -
1. Pectineus
2. Sartorius
3. Vastus medialis
4. Obturatorextemus

Correct answer: 4. Obturatorextemus

Explanation: Ans. is 'd' i.e., Obturator externuso Branches of femoral nerve areFrom the main trunk Nerve supply to iliacus, nerve supply to pectineus and a few vascular branches.From anterior division :- Intermediate femoral cutaneous nerve (intermediate cutaneous nerve of thigh ), medial femoral cutaneous nerve (medial cutaneous nerve of thigh) and muscular branch to sartorius.3) Fromposteior division Saphenous nerv e, nerve supply to quadriceps femoris (rectus femoris, vastus medialis. vastus lateralis, vastus intermedius).4) Articular supply :- Hip joint is supplied by nerve to rectus femoris; knee joint is supplied by nerve to three vasti.